Treatment of choice in postauricular abscess as a complication of otitis media is:
1. Incision and drainage (l and D)
2. l and D plus antibiotics
3. Aspiration and antibiotics
4. l and D antibiotics and mastoidectomy

Correct answer: 4. l and D antibiotics and mastoidectomy

Explanation: Postaural abscess usually follows coalescent mastoiditis as after acute otitis media or in cases of mastoiditis with cholesteatoma; a mastoidectomy is therefore important in its treatment.